Within the RBC, hypoxia stimulates glycolysis by which of the following regulatory mechanism?
1. Hypoxia stimulates pyruvate dehydrogenase by increased 2,3 DPG
2. Hypoxia inhibits hexokinase
3. Hypoxia stimulates release of all glycolytic enzymes from band 3 or RBC membranes
4. Activation of regulatory enzymes by high pH

Correct answer: 3. Hypoxia stimulates release of all glycolytic enzymes from band 3 or RBC membranes

Explanation: Insulin sensitive (dependent) glucose transporter, GLUT- 4 that are found in adipose tissue and skeletal muscle are reduced in fasting state.
When the insulin levels are low,